Burst Fracture of spine is a-
1. Compression Fracture
2. Extension injury
3. Direct injury
4. Flexion- rotation

Correct answer: 1. Compression Fracture

Explanation: *Brust Fracture is caused by axial(vertical) compression injury. Ref: MAHESWARI 9TH ED